Deafness is associated with all except
1. Cockayne's syndrome
2. Alstrom's syndrome
3. Alport's syndrome
4. Abetalipoproteinaemia

Correct answer: 4. Abetalipoproteinaemia

Explanation: Alport syndrome is a genetic disorder characterized by glomerulonephritis, end-stage kidney disease and hearing loss. Alstrom syndrome is a rare autosomal recessive disease characterized by multiorgan dysfunction. The key features are childhood obesity, blindness due to congenital retinal dystrophy, and sensorineural hearing loss. Cockayne syndrome, also called Neill-Dingwall syndrome is a rare fatal autosomal recessive neurodegenerative disorder characterized by growth failure, impaired development of the nervous system, abnormal sensitivity to sunlight (photosensitivity), eye disorders and premature ageing. Failure to thrive and neurological disorders are criteria for diagnosis while photosensitivity, hearing loss, eye abnormalities and cavities are other very common features. Abetalipoproteinemia or Bassen-Kornzweig syndrome is a rare autosomal recessive disorder that interferes with the normal absorption of fat and fat-soluble vitamins from food. Ref : Dhingra 7e pg 130, internet sources.